Myotonic dystrophy is inherited in chromosomes
1. 21
2. 20
3. 19
4. 24

Correct answer: 3. 19

Explanation: Ans. is 'c' i.e., 19 o Myotonic dystrophy is associated with a trinucleotide CTG repeat expansion on chromosome 9. o This expansion affects the mRNA for the dystrophila myotonia protein kinase (DMPK). Myotonic dystrophy' o The characteristic feature of myotonic dystrophy is myotonia, i.e., the sustained involuntary contraction of group of muscles. o Of all the dysdrophies, only myotonic dystrophy shows pathological changes in the intrafusal fibres of the muscle spindles. o Extra-muscular abnormalities are : - Cataract Frontal baldness Gonadal atrophy o DM Dementia Decreased IgG